Number of primodial follicles in ovary at birth are
1. 2 million
2. 6 million
3. 5 million
4. 10 million

Correct answer: 1. 2 million

Explanation: At birth the number of login is(primordial follicles) in an ovary is about one millionSo for two ovaries, it is about 2 millionInderbir Singh's Human Histology Seventh edition Pg 346